cardiac involvement in carcinoid syndrome is characterized by
1. Calcification tricuspid valve
2. Intimal Fibrosis of right ventricle, tricuspid and pulmonary valve
3. Involvement of the major Britishers is commonly seen
4. Equal involvement of both the sides of the heart

Correct answer: 2. Intimal Fibrosis of right ventricle, tricuspid and pulmonary valve

Explanation: Refer robbins 9/e 562 Cardiac lesions are seen in 50% of the patients with carcinoid syndrome These are largely right-sided due to inactivation of serotonin and predicate inRt in the blood due to passage through the lungs by monoamine oxidase present in pulmonary vascular endothelium